A 3-day-old male has a noticeably small mandible. A CT scan and physical examinations reveal hypoplasia of the mandible, cleft palate, and defects of the eye and ear. Abnormal development of which of the following pharyngeal arches will most likely produce such symptoms?
1. First arch
2. Second arch
3. Third arch
4. Fourth arch

Correct answer: 1. First arch

Explanation: The listed symptoms are typical of first arch syndrome because the first arch normally gives rise to muscles of mastication, mylohyoid, anterior belly of the digastric, tensor tympani, tensor veli palatini, malleus, and incus. Abnormal development of the second arch would affect the muscles of facial expression, the stapes, and parts of the hyoid bone. Abnormal development of the third pharyngeal arch would affect only the stylopharyngeus and parts of the hyoid bone. Abnormal development of the fourth and sixth arch would affect various muscles and cartilages of the larynx and pharynx and would not produce the hypoplastic mandible characteristic of first arch syndrome.